Chromosome make up of tall individual with criminal behavior:
1. XXY
2. XYY
3. XXXY
4. XXYY

Correct answer: 2. XYY

Explanation: B i.e. XYYRef: Kaplan and Saddock's Comprehensive Textbook of Psychiatry and Ahuja-Textbook of PsychiatryExplanation:XYY is a condition characterized by 47, XYY karyotype affecting males.Around 1 in 1,000 boys are born with a 47, XYY karyotype.These boys have increased growth velocity. They have above average height.Some of them might have learning disabilities.Some of them might have aggressive behavior.Criminal behavior is noted in few studies, though recent evidence disputes the claim.